The "circle of hebra" represents the main sites of involvement in
1. Blister beettle dermatitis
2. Pediculosis corporis
3. Scabies
4. Toxoplasmosis

Correct answer: 3. Scabies

Explanation: Circle of Hebra: Imaginary circle intersecting sites of predilection in Scabies ie; Areolae, axillae, elbow flexures, wrists, finger webs, umbilicus, lower abdomen, genitalia. Ref Harrison 20th edition pg 1244